48 year old male reported with the chief complaint of ulcer on the gums and on general examination headache, fever and malaise was observed. On oral examination, sharply punched out crater-like erosions of the interdental papillae of sudden onset were noted. The patient also complained of bad breath.

In the first visit these patient should be treated with
1. Antifungal drugs
2. Deep scaling and root planning
3. Superficial scaling, debridement, chlorhexidine mouthwash
4. Mucogingival surgery

Correct answer: 3. Superficial scaling, debridement, chlorhexidine mouthwash